According to WHO, blindness there is inability to count fingers at a distance of:
1. 1 meters
2. 2 meters
3. 3 metres
4. 6 metres

Correct answer: 3. 3 metres

Explanation: WHO defines blindness as 'visual acuity of <3/60 better eye with best possible correction' National programme for control of blindness India defines Blindness as 'visual acuity of <3/60 in better eye with best possible correction' WHO categories of Visual Impairment: Low vision <6/18 - 6/60 Economic blindness <6/60 - 3/60 - work vision Social blindness <3/60 - 1/60 - walk vision Manifest blindness < 1/60 - Perception of Light + Absolute blindness Perception of Light -ve, unspecified causes